Prevention of human brucellosis depends primarily on
1. Pasteurization of dairy products derived from goats, sheep, or cows
2. Treatment of human cases
3. Control of the insect vector
4. Immunization of farmers and slaughterhouse workers.

Correct answer: 1. Pasteurization of dairy products derived from goats, sheep, or cows

Explanation: Prevention of human brucellosis depends on pasteurization of dairy products from cows, goats, and sheep; education of farmers and workers in the livestock industry as to the dangers of infected animals; and care in handling products from aborted animals. There is no insect vector. No vaccine for human use is available. Since person-to-person transmission does not occur, treatment of individual cases will not control spread of brucellosis. Destruction of infected animals will prevent transmission to other animals and is a method to control an outbreak in animals. Vaccine is available for livestock, for prevention but not control of outbreak. Immunity from the vaccine lasts only two years.